Which molecules combine to form rhodopsin?
1. Bathorhodopsin and 11-cis-retinal
2. Bathorhodopsin and all-trans-retinal
3. Bathorhodopsin and scotopsin
4. Scotopsin and 11-cis-retinal

Correct answer: 4. Scotopsin and 11-cis-retinal

Explanation: Rhodopsin is the light-sensitive chemical in rods. Scotopsin and all-trans retinal are the breakdown products of rhodopsin, which has absorbed light energy. The all-trans retinal is converted into 11-cis retinal, which can recombine with scotopsin to form rhodopsin